Caisson's disease
1. Gas embolism
2. Amniotic fluid embolism
3. Tumor embolism
4. Air embolism

Correct answer: 1. Gas embolism

Explanation: A i.e. Gas embolism